Which of the following may cause Parkinson's
1. Manganese
2. Iron
3. Copper
4. Lead

Correct answer: 1. Manganese

Explanation: Manganese causes Parkinson's disease. Other drugs and toxins which causes parkinson's are : Antipsychotic drugs, Metoclopramide, tetrabenazine, sodium valproate, lithium and MPTP.In the human body, manganese aids blood sugar regulation, bone formation, and immunity. However, exposure to excessive levels of manganese may trigger Parkinson's-like neurological symptoms. Manganese builds up in the basal ganglia area of the brain Reference : Harrison20th edition pg 2456